Metal fume fever is caused by
1. Barium
2. Potassium permanganate
3. Thallium
4. Antimony

Correct answer: 4. Antimony

Explanation: Metal fume fever : Flue like illness 6-8 hours after exposure of fumes Subside after 36 hours Caused by Antimony Zinc Copper Nickel Lead Mercury Cobalt Cadmium Magnesium Manganese